First appearance of tooth formation occurs in:
1. 6th week IU
2. 2nd week IU
3. 9th week IU
4. 4th month IU

Correct answer: 1. 6th week IU